Which hormone is NOT important in the growth of the duct system of the breast?
1. Insulin
2. Growth hormone
3. Prolactin
4. Progesterone

Correct answer: 4. Progesterone

Explanation: Progesterone stimulates growth of the lobules and acini of the breast. It also causes an increase in interstitial fluid in the breast, particularly in the perilobular stroma. Estrogen promotes fat deposition and growth of both stroma and the duct system of the breast. Other hormones such as insulin, growth hormone, glucocorticoids, and prolactin are important for the growth of the duct system of the breast. Ref: Molina P.E. (2013). Chapter 9. Female Reproductive System. In P.E. Molina (Ed), Endocrine Physiology, 4e.